Which of the following is false about Digoxin
1. Dosage reduction is required in hepatic disease
2. Dosage direction is required in renal failure
3. It can cause bradycardia
4. It increases the force of contraction in congestive heart failure

Correct answer: 1. Dosage reduction is required in hepatic disease

Explanation: Refer kDT 7/e p516.. Medical useEdit Irregular heartbeatEdit The most common indications for digoxin are atrial fibrillation and atrial flutter with rapid ventricular response, though beta blockers and/or calcium channel blockers are often preferred. There is tentative evidence that digoxin may increase the risk of death, though another meta-analysis in 2015 reported no change in mortality. Heart failureEdit Digoxin is no longer the first choice for heart failure; it has fallen out of favor in people with heart failure because it may increase the risk of death. Currently, the recommendation for heart failure is a triple therapy of ACE inhibitor, beta blocker and mineralocorticoid antagonists. Digoxin is a third-line therapy. AbortionEdit Digoxin is also used intrafetally or amniotically during abortions in the late second trimester and third trimester of pregnancy. It typically causes fetal demise(measured by cessation of cardiac activity) within hours of administration. Side effectsEdit Main article: List of side effects of digoxin Further information: Digoxin toxicity The occurrence of adverse drug reactions is common, owing to its narrow therapeutic index (the margin between effectiveness and toxicity). Gynaecomastia (enlargement of breast tissue) is mentioned in many textbooks as a side effect, thought to be due to the estrogen-like steroid moiety of the digoxin molecule, but when systematically sought, the evidence for this is equivocal as of 2005. The combination of increased (atrial) arrhythmogenesis and inhibited atrioventricular (AV) conduction (for example paroxysmal atrial tachycardia with AV block - so-called "PAT with block") is said to be pathognomonic(that is, diagnostic) of digoxin toxicity.